Which of the following medications can be safely used in pregnancy -
1. Propylthiouracil
2. Methotrexate
3. Warfarin
4. Tetracycline

Correct answer: 1. Propylthiouracil